Earliest feature in Multiple sclerosis is -
1. Optic neuritis
2. Inter nuclear ophthalmologia
3. Ataxia
4. Weakness

Correct answer: 1. Optic neuritis